Hospital waste product accounts-
1. Paper 40%
2. Plastic 10%
3. Infectious waste 30%
4. Rage 30%

Correct answer: 2. Plastic 10%

Explanation: Ans. is 'b' i.e., Plastic 10%